Neocerebellum is concerned with?
1. Eye movements
2. Motor planning
3. Equilibrium
4. Motor execution

Correct answer: 2. Motor planning

Explanation: ANSWER: (B) Motor planningREF: Ganong 22nd ed p. 221VestibulocerebellumEquilibrium and eye movementsSpinocerebellumMotor planningCerebrocerebellum or neocerebellumMotor planning